The type of necrosis seen in Tuberculosis:
1. Gummatous
2. Coagulative
3. Caseation
4. Liquefactive

Correct answer: 3. Caseation

Explanation: Caseous necrosis is encountered most often in foci of Tuberculosis infection. The term caseous (cheese-like) is derived from friable yellow-white appearance of the area of necrosis. On microscopic examination, the necrotic focus appears as a collection of fragmented or lysed cells with an amorphous granular appearance.Also Know:Unlike coagulative necrosis, the tissue architecture is completely obliterated and cellular outlines cannot be discerned. Caseous necrosis is often enclosed within a distinctive inflammatory border; this appearance is characteristic of a focus of inflammation known as granuloma. Ref: Robbins Basic Pathology, 8th Ed, page 10-11